Specialized cell membrane structures that decrease electrical resistance between the cells allowing action potentials to pass efficiently from one cell to adjacent cells are the
1. Extensive capillary network
2. Intercalated disks
3. Mitochondria
4. Gap junctions

Correct answer: 4. Gap junctions

Explanation: D: Gap junctions are a specialized intercellular connection between a multitude of animal cell-types. They directly connect the cytoplasm of two cells, which allows various molecules, ions and electrical impulses to directly pass through a regulated gate between cells.
A: Extensive capillary networks allows the abundant supply of oxygen and nutrients on tissues such as skeletal muscle, liver and kidney.
B: Intercalated disks support synchronized contraction of cardiac tissue. They occur at the Z-line of the sarcomere and can be visualized easily when observing a longitudinal section of the tissue.
C: Mitochondrion is an organelle found in large numbers in most cells, in which the biochemical processes of respiration and energy production occur.